Location of lens in Marfan's Syndrome is:
1. Inferior and nasally
2. Superior and temporally
3. Forward subluxated
4. Upward displacement

Correct answer: 2. Superior and temporally

Explanation: Ans. (b) Superior and temporallyRef: A.K. Khurana 6th ed. 1215* Marafans syndrome is an autosomal dominant condition.* Subluxation of lens is a common finding, which is seen in upward and temporal area, bilaterally symmetrical.* Other abnormalities includes: spider finger, long extremities, high arched palate and dissecting aortic aneurysm with normal IQ.Also KnowSuluxation of lens also seen in-* Homocystinuria: Autosomal Recessive condition; Downward and nasally displaced lens.* Weil marchesani syndrome: Forward subluxation and spheroaphakia* Sulphite oxidase deficiency: ectopia lentis is universal ocular feature* Ehler's danlos syndrome* Hyperlysinemia* Stickler syndrome